Urea cycle is linked to TCA cycle by -
1. Arginine
2. Ornithine
3. Oxaloacetate
4. Fumarate

Correct answer: 4. Fumarate

Explanation: Ans. is 'd' i.e., Fumarate |Ref: Harper 29th/e p. 276-277]o Fumarate is released during urea cycle, which is an intermediate of Kreb's cycle, thus linking the two.Both urea cycle and TCA cycle have been explained in previous years.